Thyroid malignancies appear on USG as
1. Hypoechoic
2. Anechoic
3. Hyperechoic
4. Isoechoic

Correct answer: 1. Hypoechoic

Explanation: On sonography, thyroid tumors are solid,hypoechoic masses.